A 5-year-old child develops fever with rash on the first day of fever. Rash disappears after few days & the child develops ataxia. Most probable diagnosis is:
1. Measles
2. Fifth disease
3. Chicken pox
4. Rocky mountain spotted fever

Correct answer: 3. Chicken pox

Explanation: Rash appearing on 1st day of fever suggests Chickenpox Ataxia can occur as a complication of varicella infection.